Disputed maternity can be solved by using the following tests except :
1. Blood grouping
2. HLA typing
3. Preciptin test
4. DNA fingerprinting

Correct answer: 3. Preciptin test

Explanation: C i.e. Precipitin test